Which of the following is the commonest site of ectopic pregnancy?
1. Isthmus
2. Ampulla
3. Intestitial
4. Infundibulum

Correct answer: 2. Ampulla

Explanation: The frequency of location of tubal ectopic pregnancy are : 55% in ampulla, 25% in isthmus, 18% in infundibulum and 2% in the interstitial segment of fallopian tube. Ref: Textbook of Obstetrics By D C Dutta, 6e page 179.